Most common acute complication of dialysis is-
1. Hypotension
2. Bleeding
3. Demantia
4. Muscle cramps

Correct answer: 1. Hypotension

Explanation: Ans. is 'a' i.e., Hypotension o Hypotension is the most common acute complication of hemodialysis, particularly among patients with diabetes mellitus.Complications of dialysis|||Acute complications of hemodialysisLong term complicationso Hypotensiono Crampso Nausea and vomitingo Headacheo Chest paino Back paino Itchingo Fever and chillso Cardiovascularo Anemiao Secondary hyperparathyrodism and renal osteodystrophyo Malnutritiono Hepatitis (A, B, C, D, E)o Depressiono Dialysis encephalopathyo Malignant tumourso Carpal tunnel syndromeo Uremic neurophtyRemembero Hypotension is the most common acute complication of hemodialysis. Since the introduction of bicarbonate-containing dialysate, dialysis-associated hypotension has become less common. The management of hypotension during dialysis consists of discontinuing saline or 10 mL of 23% saturated hypertonic saline, or administration of salt-poor albumin.